Bisphosphonates are used in all the following except
1. Paget disease
2. Osteoporosis
3. Hypercalcemia of malignancy
4. Vitamin D excess

Correct answer: 4. Vitamin D excess

Explanation: Uses of bisphosphonates Treatment and Prophylaxis of osteoporosis Treatment of hypercalcemia of malignancy Paget's disease Arrest of bony osteolytic metastasis.